Which of the following chemical reaction is involved in the conversion of noradrenaline to adrenaline?
1. Hydroxylation
2. Carboxylation
3. Methylation
4. Dehydrogenation

Correct answer: 3. Methylation

Explanation: Catecholamines are derivatives of phenylalanine/tyrosine. "Nor" in noradrenaline (norepinephrine) indicates the absence of methyl group. The methyl group of adrenaline (epinephrine) is derived from S-Adenosyl methionine (AdoMet)